IV administration of which anesthetic drug is most painful among the following?
1. Methohexital
2. Ketamine
3. Propofol
4. Etomidate

Correct answer: 3. Propofol

Explanation: Ans: c. Propofol